Therapeutic drug monitoring is advised in allexcept
1. Metformin
2. Phenytoin
3. Tacrolimus
4. Cyclosporine

Correct answer: 1. Metformin

Explanation: Ans. is 'a' i.e., Metformin o Drugs whose response is easily measurable eg. hypoglycaemics (metformin), antihypertensive, diuretics, oral anticoagulants and general anaesthetics, monitoring of plasma conc. is of no value.